Pattern in peripheral smear in iron deficiency anemia -
1. Normocvtic normochromic
2. Hypochromic normocvtic
3. Hypochromic microcytic
4. Normochromic microcytic.

Correct answer: 3. Hypochromic microcytic

Explanation: Ans. is c i.e., Hypochromic microcytic